Which of the following is associated with PAS positive macrophages?
1. Whipple disease
2. Abetalipoproteinemia
3. Crohns disease
4. Ulcerative colitis

Correct answer: 1. Whipple disease

Explanation: Ref. Robbins Pathology. 9th edition. Page. 791
 
Whipple disease:

Rare systemic infection due to Tropheryma whippelii, a gram positive intracellular actinomycete
Usually affects proximal intestine, mesenteric lymph nodes
Also called intestinal lipodystrophy

 
Symptoms:

Malabsorption with diarrhea, weight loss, abdominal pain
Occasionally polyarthritis, CNS complaints, lymphadenopathy, hyperpigmentation
Cardiac involvement less common

 
Microscopy

Distended macrophages in lamina propria containing PAS+ (diastase resistant) granules and rod shaped bacilli by EM
Dilated lymphatics or fat vacuoles